Bilateral spider leg sign on IVP is suggestive of:
1. Polycystic kidney
2. Hydronephrosis
3. Hypernephroma
4. Renal stones

Correct answer: 1. Polycystic kidney

Explanation: Ans. Polycystic kidney